Which of the following is not seen in HIV Patient with CD4 count less than 100 Per micro litre, who has non productive cough :
1. Mycobacterium tuberculosis
2. Pneumocystis carinii
3. Mycoplasma pneumonae
4. Cryptococcal infection

Correct answer: 3. Mycoplasma pneumonae

Explanation: Ans. is 'c' i.e. Mycoplasma Pneumoniae Mycoplasma Pneumoniae is not among the opportunistic organisms causing Pneumonia in a patient with AIDS.Organisms causing Pneumonia in AIDS patientBacterial - S. pneumoniae (most common)*H. influenza Parasite - Pneumocystis carinii* Fungal - Cryptococcal*Aspergillus Coccidioides immitis HistoplasmosisOpportunistic infections*CD4-Tcell Counts at which they developMycobacterium T.B.Candida (oral thrush)Herpes Zoster* 400-200Pneumocystis cariniiCryptococcus neoformansToxoplasma gondii* less than 200MycobacteriumAvium intracellulare* less than 50